Side effects of oxygen therapy are all except –
1. Absorption atelectasis
2. Increased pulmonary compliance
3. Decreased vital capacity
4. Endothelial damage

Correct answer: 2. Increased pulmonary compliance

Explanation: Oxygen toxicity causes decreased lung compliance (not increased).